Blood supply of ameloblast for most of its life cycle comes from
1. Dental papilla
2. Reduced enamel organ
3. Dental Sac
4. Dental Pulp

Correct answer: 3. Dental Sac

Explanation: As long as the inner enamel epithelium is in contact with the dental papilla, it receives its nutrient supply from the blood vessels of dental papilla. When dentin forms, it cuts off the ameloblasts from the source of nourishment. From then, they are supplied by the capillaries of dental sac.